HMB 45 is a marker for-
1. Sarcoma
2. Melanoma
3. Carcinoma
4. None of the above

Correct answer: 2. Melanoma

Explanation: Harshmohan textbook of pathology 7th edition. HBM45 is the most specific immunohistochemical stain for melanoma. Sarcomas- immunohistochemical stains like vimentin, desmin. carcinoma- pankeratine..